Wof agent is used to prevent hemorrhagic cystitis caused by cyclophosphamide and ifosfamide
1. Busulfan
2. Carmustine
3. Mesna
4. Niacin

Correct answer: 3. Mesna

Explanation: To prevent hemorrhagic cystitis mesna is routinely given with the drugs. Mesna is a -SH compound that is excreted in urine--binds and inactivates the vasicotoxic metabolites(Acrolein) of ifosfamide and cyclophosphamide. Ref:- kd tripathi; pg num:-860